Out of these which has Barley fluid like appearance
1. Spermatocele
2. Hydrocele
3. Lymphatic cyst
4. Parasitic cyst

Correct answer: 1. Spermatocele

Explanation: Spermatocele is a unilocular, acquired retention cyst derived from blockage of some portion of the sperm conducting Mechanism of the epididymis. This swelling contains barley water like fluid, which contains spermatozoa. It is soft, cystic and transillumination. Aspiration cytology confirms the diagnosis. Reference : SRB's Manual of Surgery, 6th Edition, page no = 1063